Normal capacity of the renal pelvis is -
1. 7 ml.
2. 10 ml
3. 15 ml
4. 20 ml

Correct answer: 1. 7 ml.

Explanation: Ans. is 'a' i.e., 7 ml